Most common site for small intestinal carcinoma is?
1. Duodenum
2. Jejunum
3. Ileum
4. All are affected equally

Correct answer: 1. Duodenum

Explanation: Ans is 'a' i.e. duodenum "Adenocarcinoma is the most frequent carcinoma found in the small intestine. The upper small intestine is the most common site for carcinoma with duodenum, jejunum, and ileum involved in 40%, 38% % 20% respectively". - Cancer Metastasis, Molecular and Cellular Mechanisms and Clinical Intervention.